Which of the following is the vector for Zika virus?
1. Aedes aegypti
2. Culex tritaeniorhynchus
3. Phlebotomus papatasil
4. Anopheles

Correct answer: 1. Aedes aegypti

Explanation: Zika Virus Zika virus (RNA virus) is flavivirus. Reservoir- monkeys Vector - Aedes aegyptii Transmission Transplacental and sexual transmission Transfusion of blood and blood products, organ transplantation. Clinical Features Mainly asymptomatic; 10-15% have symptoms of dengue fever-like illness. Clinical symptoms are similar to Chikungunya. Influenza-like clinical signs includingfever,headache, and malaise. Amaculopapular rash, conjunctivitis,myalgia, andahralgiausually happen. Diagnosis Zika virus RNA is generally detectable inserum, whole blood and/or urineduring the acute phase of infection and up to2 weeksfollowing the onset of symptoms. Complications Newborn baby of infected mother may have GBS and microcephaly.